Hot spot in acute MI is seen in:
1. Thallium
2. Stroncium
3. Tc99 Strontium Pyrophosphate
4. Gallium citrate

Correct answer: 3. Tc99 Strontium Pyrophosphate

Explanation: C i.e. Tc99 Strontium Pyrophosphate